Large antigen-antibody complexes are formed in -
1. Prozone
2. Postzone
3. Zoneof equivalence
4. Noneof the above

Correct answer: 3. Zoneof equivalence

Explanation: Ans. is 'c' i.e., Zone of equivalence o Maximum lattice formation (antigen-antibody complex formation) occurs in zone of equivalence.